Which of the following anti-epileptic drug has the highest teratogenic potential?
1. Valproate
2. Carbamazepine
3. Phenytoin
4. Lamotrigine

Correct answer: 1. Valproate

Explanation: Anti epileptic with highest risk of teratogenicity - Valproate - causes neural tube defects Anti epileptic with lowest risk of teratogenicity- Lamotrigine Levetiracetam